DNA fingerprinting was founded by:
1. Watson
2. Calton
3. Jeffrey
4. All of the above

Correct answer: 3. Jeffrey

Explanation: C i.e. Jeffrey